WHO stage IV HIV includes all, except -
1. Toxoplamosis
2. Pneumocystis carinii
3. HIV wasting syndrome
4. Oral thrush

Correct answer: 4. Oral thrush

Explanation: Oral thrush is not included in the clinical stage 4 for HIV. Reference:Park's textbook of preventive and social medicine,K.Park,23rd edition,page no:349.